The risk of complex hyperplasia of endometrium with atypia progressing to malignancy in a postmenopausal woman is:
1. 3%
2. 8%
3. 15%
4. 28%

Correct answer: 4. 28%